Hepatotoxic agent is –
1. Ketamine
2. Ether
3. N2O
4. Halothane

Correct answer: 4. Halothane